Which defense mechanism is commonly used by substance abusers?
1. Dissociation
2. Introjection
3. Denial
4. Projection

Correct answer: 3. Denial

Explanation: Ans. C. DenialDefense mechanism shown by drug addicts is denial.Defense mechanismDenialIs a psychotic type of defense mechanism where there is involuntary exclusion of unpleasant or painful reality from conscious awarenessRepressionSeemingly inexplicable naivete, memory lapse, or lack of awareness of physical status; the emotion is conscious, but the idea behind it is absent and, of course.Reaction FormationBehavior that is completely the opposite of what one really wants or feels (e.g., taking care of someone when what one really wants is to be taken care of; studying to be a pilot to cover-up being afraid to fly). Note: this can work in the short term as an effective strategy to cope, but will eventually breaks down.DisplacementSeparation of emotion from its real object and redirection of the intense emotion toward someone or something that is less offensive or threatening in order to avoid dealing directly with what is frightening or threatening.DissociationTemporary and drastic modification of one's personal identity or character to avoid emotional distress.SublimationTransformation of negative emotions or instincts into positive actions, behavior, or emotion, art, sports, hobbies, or even one's choice of profession)RationalizationA defense mechanism, operating unconsciously, in which an individual attempt to justify or make consciously tolerable by plausible means, feelings or behavior that otherwise would be intolerable.Not to be confused with conscious evasion or dissimulation.